The hormone responsible for a positive "Fern test" is :
1. Estrogen
2. Progesterone
3. FSH
4. LH

Correct answer: 1. Estrogen

Explanation: Estrogen